Incest is defined as sexual intercourse between ?
1. Man and animals
2. Man and closely related women
3. Man and women other than wife
4. Man and man

Correct answer: 2. Man and closely related women

Explanation: Ans. is 'b' i.e., Man and closely related women